Red brown post mortem staining is seen in:
1. Dhatura
2. Aniline
3. CO
4. All

Correct answer: 2. Aniline

Explanation: B i.e. Aniline